Fogarty's catheter is used for?
1. Urethral catheterization
2. Removal of blood clots from the arteries
3. Bladder drainage
4. TPN

Correct answer: 2. Removal of blood clots from the arteries

Explanation: Ans is 'b' i.e. removal of blood clots from the arteries Fogarty's catheter is arterial embolectomy catheter.It is used for removal of fresh, soft emboli and thrombi from arteries.It is named after its inventor- Dr. Thomas J. Fogarty.